A young man with tuberculosis presents with massive recurrent hemoptysis. Most probable cause would be.
1. Pulmonary artery
2. Bronchial artery
3. Pulomary vein
4. Superior vena cava

Correct answer: 2. Bronchial artery

Explanation: B i.e. Broncheal artery In great majority of patients hemoptysis originates from systemic rather than pulmonary arteries and the bronchial vessels are almost universally involved. (Grainger) Massive hemoptysis in a patient of T.B. is usually d/ t erosion of bronchial artery which bleeds at systemic pressure.